All of the following are causes of 'proportionate short stature' EXCEPT?
1. Turner syndrome
2. Down syndrome
3. Osteogenesis imperfecta
4. Chronic kidney disease

Correct answer: 3. Osteogenesis imperfecta

Explanation: Osteogenesis imperfecta is one of the causes of disproportionate short stature, where the limbs are mainly involved, as compared to trunk. Osteogenesis imperfecta: MC cause of multiple fractures in childhood. Autosomal dominant Defected type 1 collagen. C/F: Bone shape- not maintained. Deformed bones, fractures in different areas & different stages of healing. Blue sclera Deafness Dentigerous imperfecta Rx: Gene therapy